Which of the following is not a cause of cataract
1. Diabetes
2. Wilson disease
3. Galactosemia
4. Hypomagnesemia

Correct answer: 4. Hypomagnesemia

Explanation: Hypomagnesemia is least likely to cause cataract MISCELLANEOUS CATARACTS Diabetes- Snowflake/ snowstorm cataract Wilson's- Sunflower cataract, chalcosis. Bread crump appearance- Complicated cataract Corticosteroid cause posterior subcapsular cataract.(Note topical steroids cause glaucoma more; systemic cause cataract more). Oil drop cataract -galactosemia is reversible (deficiency of GPUT) Anterior lenticonus- Alport Posterior Lenticonus- Lowe Syndrome Shield cataract- Atopic dermatitis. Radiation can cause PSC cataract. Hypocalcemic cataract - Tetanic cataract Myotonic dystrophy- Christmas tree cataract Persistent hyaloid artery&mittendorf dot -can be a cause of Posterior polar cataract.